Which of the following mycobacteria can cause disease in HIV+ve patient with a CD4 count of 600/cu.mm?
1. M. Tuberculosis
2. MAC
3. M. Chelonei
4. M. Fortuitum

Correct answer: 1. M. Tuberculosis

Explanation: In developing countries like India the most imp pathogen is M.tunerculosis with many strains being multidrug resistant. REF:ANANTHANARAYAN AND PANIKER'S TEXTBOOK OF MICROBIOLOGY 9TH EDITION PAGE NO:576